Carpel tunnel syndrome is due to compression of -
1. Radial nerve
2. Ulnar nerve
3. Palmer branch of the Ulnar nerve
4. Median nerve

Correct answer: 4. Median nerve

Explanation: Carpal tunnel syndrome occurs when the median nerve is compressed in the carpal tunnel below flexor retinaculum.